Gold salts can be used in -
1. Ankylosing spondylitis
2. Rheumatoid arthritis
3. Osteoarthritis
4. Behcets syndrome

Correct answer: 2. Rheumatoid arthritis